Crumpled paper appearance of cells is a feature of ?
1. Gaucher disease
2. Asbestosis
3. GVHD
4. Wilsons disease

Correct answer: 1. Gaucher disease

Explanation: Ans. is 'a' i.e., Gaucher diseaseMorphology of Gauchers disease:Glucocerebrosides accumulate in massive amounts within phagocytic cells throughout the body in all forms of Gaucher disease.The distended phagocytic cells, known as Gaucher cells, are found in the spleen, liver, bone marrow, lymph nodes, tonsils, thymus, and Peyer patches. Similar cells may be found in both the alveolar septa and the air spaces in the lung.